Koenen's tumour is seen in
1. Tuberous sclerosis
2. Neurofibramatosis
3. VHL syndrome
4. Turcot syndrome

Correct answer: 1. Tuberous sclerosis

Explanation: Tuberous sclerosis is a rare disease that causes tumors, or growths, in the brain and other organs. These growths can occur in the skin, kidneys, eyes, heart, or lungs. They are usually benign (non-cancerous). The first signs of tuberous sclerosismay occur at birth.